Select the statement which best characterises lymph capillaries
1. Have smaller diameter than blood capillaries
2. Less permeable than blood capillaries
3. Have no endothelial lining
4. Have a discontinuous basement membrane

Correct answer: 4. Have a discontinuous basement membrane

Explanation: Lymph capillaries - Lymph capillaries (or lymphatic capillaries) begin blindly in tissues where they form a network. The structure of lymph capillaries is basically similar to that of blood capillaries, but is adapted for much greater permeability. There is an inner lining of endothelium. The basal lamina is absent or poorly developed. Pericytes or connective tissue are not present around the capillary. As compared to blood capillaries, much larger molecules can pass through the walls of lymph capillaries. These include colloidal material, fat droplets, and particulate matter such as bacteria. It is believed that these substances pass into lymph capillaries through gaps between endothelial cells lining the capillary; or by pinocytosis. Lymph capillaries are present in most tissues of the body. They are absent in avascular tissues (e.g., the cornea, hair, nails); in the splenic pulp; and in the bone marrow. It has been held that lymphatics are not present in nervous tissue, but we now know that some vessels are present. REF : Inderbir Singh's Textbook of Human Histology, seventh edition, pg.no., 130.